Most common causative agent for meningitis in the immunocompromised patient is:
1. Histoplasmosis
2. Cryptococcus
3. Candida albicans
4. Coccidiomycosis

Correct answer: 2. Cryptococcus

Explanation: Ans. B: Cryptococcus Cryptococcosis is a systemic or central nervous system (CNS) fungal infection caused by the yeast Cryptococcus neoformans. The organism is ubiquitous, but is particularly plentiful in soils enriched with bird droppings. In immunocompetent patients, cryptococcal infection is usually asymptomatic, self-limited, and confined to the lungs. In persons with advanced HIV infection (e.g., those with CD4 counts In HIV-infected patients, Cryptococcus can infect almost all organs in the body, but most commonly causes meningitis or meningoencephalitis.